Cluster headache is characterized by all, except:
1. Affects predominantly females
2. Unilateral headache
3. Onset typically in 20-50 years of life
4. Associated with conjunctival congestion

Correct answer: 1. Affects predominantly females

Explanation: Answer is A (Affects predominantly females) : Cluster headache affects predominantly males. Men are affected 3 times more often than women.